Fulvestrant is used in the treatment of
1. HR positive metastatic breast cancer in post menopausal women
2. Male breast cancer
3. Paget's disease
4. Acute myeloid leukemia associated with Down's syndrome

Correct answer: 1. HR positive metastatic breast cancer in post menopausal women

Explanation: Fulvestrant is a selective estrogen receptor downregulator (SERD) used in cases of hormone receptor positive metastatic breast carcinoma in post menopausal women.